A child has a vocabulary of4-6 words however the main mode of communication and social interaction continues to be non-verbal what is the most likely developmental age of the child -
1. 12 months
2. 15 months
3. 18 months
4. 24 months

Correct answer: 2. 15 months

Explanation: Ans. is 'b' i.e., 15 months o Vocabulary of 4-6 words in addition to jargon is achieved by 15 months of age. However